Performance of components of PQLI is counted between -
1. -1 to + 1
2. 0to 1
3. 0 to l00
4. None

Correct answer: 3. 0 to l00

Explanation: Ans. is 'c' i.e., 0 to 100 o For each component, the performance of individual counteries is placed on a scale of 0 to 100, where 0 represents an absolutely defined worst performance and 100 represents an absolutely defined best performanceo The composite index is calculated by averaging the three indicators, giving equal weight to each of themo The resulting PQLI thus also is scaled 0 to 100.o PQLI has been explained in previous sessions